Mycosis fungoids affects-
1. T Cells
2. B Cells
3. NK Cells
4. K Cells

Correct answer: 1. T Cells

Explanation: Mycosis fungoides is the commonest type of cutaneous T cell lymphoma(CTCL). From illustrated synopsis of dermatology and sexually transmitted diseases neena khanna 5th edition page no 405